All are derivatives of septum transversum except
1. Falciform ligament
2. Ligamentum feres
3. Coronary ligament
4. Mesentry of lesser sac

Correct answer: 2. Ligamentum feres

Explanation: Mesentry of lesser sac (lesser omentum) falciform ligament coronary ligament develop from septum duivatives. ligamention teres is remnant of left umbilical vein.